Shenton line is seen in X-ray of:
1. Shoulder
2. Elbow
3. Knee
4. Hip

Correct answer: 4. Hip

Explanation: Ans. d. Hip (Ref Apley 9/e p354)Shenton's line is seen in X-ray of hip."Shenton's line is an imaginary line drawn along the inferior border of the superior pubic ramus (superior border of the obturator foramen) and along the inferomedial border of the neck of femur. This line should be continuous and smooth. It is breeched in fracture neck of femur, head of femur, superior pubic rami and dislocation of hip."Radiological Features of Congenital Dislocation of Hip (Developmental Dysplasia of Hip)In Von Rosen's view (both hips abducted, internally rotated and extended) following parameters are seenHilgenreiner's (H) line: Horizontal line through trirad radiate cartilagesQPerkin's line: Vertical line drawn at the outer border of acetabulum and is perpendicular to H-lineQ.Acetabular index: Angle formed by junction of H line and line drawn along acetabular surfaceQShenton's line: Smooth curve formed by inferior border of neck of femur with superior margin of obturator foramenQCenter-Edge Angle of Wilberg: Angle between Perkin's line and a line drawn from lateral lip of acetabulum through the center of femoral headQ.